Which of the following statements about adult polycystic kidney disease is true?
1. Autosomal recessive disorder
2. Low erythropoietin level
3. Hematuria can occur
4. Berry aneurysm don't have associated with polycystic kidney disease

Correct answer: 3. Hematuria can occur